Unconjugated hyperbilirubinemia is seen in
1. Rotor syndrome
2. Dubin-Johnson syndrome
3. Gilbert syndrome
4. Bile duct obstruction

Correct answer: 3. Gilbert syndrome

Explanation: Classification of jaundice A. Predominantly unconjugated hyperbilirubinemia 1. increased production of bilirubin Hemolytic anemias Resorption of blood from intestinal hemorrhages(eg: gi bleeding, hematomas) Ineffective erythropoiesis 2. Reduced hepatic intake Drug that interfere with the membrane carrier systems Diffuse liver disease ( hepatitis, cirrhosis) Some cases of Gilbert syndrome 3. Impaired bilirubin conjugation Physiological jaundice of the new born Crigler-Najjar syndrome types I and II Gilbert syndrome Diffuse liver disease ( hepatitis, cirrhosis) B. Predominantly conjugated hyperbilirubinemia 1. Decreased hepatocellular excretion Deficiency of canalicular membrane transporters - Dubin- Johnson syndrome - Rotor syndrome Liver damage or toxicity 2. Impaired intra/extra hepatic bile flow Inflammatory destruction of bile ducts( eg: primary biliary cirrhosis) Gallstones Carcinoma of pancreas GENERAL AND SYSTEMIC PATHOLOGY RAMDAS NAYAK PGNO.429